Major contribution to cachexia with advanced cancer?
1. Clathrin
2. Histamine
3. Interferon
4. Tumor-necrosis-factor (TNT)

Correct answer: 4. Tumor-necrosis-factor (TNT)

Explanation: Ans. is 'd' i.e., Turnor-necrosis factor (TNT) Patients with cancer commonly suffer progressive loss of body fat which is accompnied by profound weakness anorexia, and anemia. This wasting syndrome is referred to as cachexia. o TNF produced by macrophages or some tumor cells is the most important mediator of cachexia.